A female aged 20 presented with vaginal discharge which is non irritating and malodorous. Saline wet preparation reveals clue cells. Which type of vaginitis Clue cells are used to detect?
1. Bacterial vaginosis
2. Candidal vaginitis
3. Primary syphilis
4. Secondary syphilis

Correct answer: 1. Bacterial vaginosis

Explanation: Ans. A. Bacterial vaginosisClue cells are considered to be the most reliable indicators of BV.* The positive predictive value is of around 95% of this test for the presence of BV.* These vaginal epithelial cells contain many attached bacteria and hence create a poorly defined border of stippled cells.